All are features of Plumbism except
1. Burtonian lines
2. Cabot's ring
3. Lead osteopathy
4. Kayser-Fleisher ring

Correct answer: 4. Kayser-Fleisher ring

Explanation: Features of Plumbism: Facial pallor Cabot's ring, basophilic stippling Burtonian lines Lead colic Lead palsy Lead encephalopathy Optoc atrophy. Retinal stippling Lead osteopathy Peripheral neuritis Alopecia Ref: FORENSIC MEDICINE AND TOXICOLOGY Dr PC IGNATIUS THIRD EDITION PAGE 425,426